When wheezing occurs intra operatively, appropriate measure may include all of the following except:
1. The intratracheal administration of mucolytic agents
2. Use of a volatile anesthetic agent (e.g. halothane)
3. Rechecking breath sound bilaterally
4. Intravenous hydrocortisone

Correct answer: 1. The intratracheal administration of mucolytic agents

Explanation: There is no role of intratracheal mucolytic in bronchospasm. inhalational agents are brochodilator , intravenous agent are also bronchodilator nebulization with beta agonist is also preferred rechecking of right position of Endotracheal tube.